Earliest event of vascular trauma is?
1. Vasoconstriction
2. Platelet adhesion
3. Platelet aggregation
4. Vasodilatation

Correct answer: 1. Vasoconstriction

Explanation: Ans. (a) Vasoconstriction(Ref: Robbins 9th/pg 661)Endothelial Injury causes vasoconstriction Q (due to endothelin, serotonin) immediately and markedly reduces blood flow to the injured area.